Evidence of decreased risk of cardiovascular disease is associated with all of the following except-
1. Vitamin E Supplementation
2. Low to moderate daily alcohol consumption
3. Regular physical activity
4. Potassium

Correct answer: 1. Vitamin E Supplementation

Explanation: Ref: R Alagappan - Manual of Practical Medicine 4th Edition.pg no:182 Risk Factors Category I (For which interventions have been proved to lower CVD risks) 1. Raised LDL cholesterol 2. Reduced HDL cholesterol 3. Atherogenic diet 4. Cigarette smoking 5. Hypertension 6. LVH 7. Thrombogenic factors Category II (For which interventions are likely to lower CVD risks) 1. Diabetes mellitus 2. Physical inactivity 3. Increased triglycerides 4. Small dense LDL 5. Obesity Category III (Associated with increased CVD risk that, if modified, might lower risk) 1. Psychosocial factors 2. Increased Lipoprotein a (normal level--0-3 mg/dl) 3. Hyperhomocysteinemias 4. No alcohol consumption 5. Oxidative stress 6. Post-menopausal status Category IV (Associated with increased CVD risk which cannot be modified) 1. Age 2. Male gender 3. Low socio-economic status 4. Family history of early onset CVD